Opium is derived from:
1. Leaf
2. Root
3. Poppy seed
4. Unripe capsule

Correct answer: 4. Unripe capsule

Explanation: Ans. Unripe capsule